Causes of exudative retinal detachment are all except-
1. Toxemia of pregnancy
2. Scleritis
3. High myopia
4. Central serous retinopathy

Correct answer: 3. High myopia

Explanation: Ans. is 'c' i.e., High myopia Cause: retinal detachment Rheugmatogenous High myopia, Cataract extraction (Aphakia, pseudophakia), Trauma, Retinal degeneration (1 I ice degeneration, snail track degeneration, retinoschisis). Exudative Systemic disease Toxaemia of pregnancy, renal hypertension, blood dyscrasias & polyaetitis nodosa. Ocular disease Inflammation : Harada's disease, sympathetic ophthalmitis, posterior scleritis & orbital cellulitis q Vascular : Central serous retinopathy, exudative retinopathy of coats Neoplasm : Malignant melanoma of choroid, retinoblastoma (exophytic type) Sudden hypotony : perforation of globe, intraocular operation Other causes : Uveal effusion syndrome, choroidal neovascularisation, haemangioma & metastatic tumour of choroid. Tractional Penetrating injury, Proliferative diabetic retinopathy, sickle cell retinopathy, Retinopathy of prematurity, CRVO, Eale's disease, post- hemorrhagic retinitis proliferan - Toxoc iasis, plastic cyclitis